Fluoride helps in -
1. Vision
2. Dentition
3. Myelination
4. Joint stability

Correct answer: 2. Dentition

Explanation: Ans. is 'b' i.e.. Dentition o Fluoride helps in dentition and reduces tooth decay,o Flourine is often called a two edged sword i -i) Excess intake -Causes Endemic fluorosisii) Inadequate-Causes dental caries